Defect in ty pe II hyperlipidemia -
1. Apo-E
2. Lipoprotein lipase
3. LDL receptor
4. None

Correct answer: 3. LDL receptor

Explanation: Ans. is 'c' i.e., LDL receptor o Familial hypercholesterolemia (type Ila) is due to deficiency of functional LDL receptors as a result of different types of mutations.o Lipoprotein lipase deficiency (Type I hyperlipoproteinemia) results in increased level of ehylomicrones. Type IType IIaType IIbType IIIType IVType VProblemo Decreased lipoprotein lipase or Apo C-IIo LDL receptor deficiencyo | LDL receptor, increased Apo B-100o Defect in Apo-Eo Increased VLDL production and decreased elimination (Due to apo V deficiency)3 Same as in type IV, but more severeLipoproteino Elevated chylomicrons(also VLDL somerimes)o |LDLo|VLDLo |LDLo Increased chylomicron remnants and 1DLo |VLDLo |VLDL and chylomicronCholesterol|||||||||N|||Triglyceride||||N|||||||||NomenclatureFamilial lipoprotein lipase deficiencyo Familial hyper choleserolemiao Familial combined hyperlipidemiao Familial dys-beta lipoprei-nemiao Familial hyper-triglyceridemiao Endogenous hypertrigly-cedemia